The following conditions are Indications of surgery in acute pancreatitis, except
1. Acute fluid collection
2. Persistent pseudocyst
3. Pancreatic abscess
4. Infective pancreatic necrosis

Correct answer: 1. Acute fluid collection

Explanation: Indications for operative treatment in acute pancreatitis Failure of non operative management with at least 48hours of maximal ICU support Infected necrosis Extra visceral air Hemorrhage uncontrolled by interventional technique Colonic complications Operation is indicated for documented infection or for sterile pancreatic necrosis with persistent illness Ref: Sabiston 20th edition Pgno :1528-1529